The component of future T.M.J shows development at ?
1. 6 weeks
2. 10 weeks
3. 18 weeks
4. 16 weeks

Correct answer: 2. 10 weeks